Energy currency of the cell is
1. Nucleotide diphosphate
2. Nucleotide triphosphate
3. Deoxynucleotide diphosphate
4. Nuceotide monophosphate

Correct answer: 2. Nucleotide triphosphate

Explanation: Cellular energy can be stored in high-energy phosphate compounds, including adenosine triphosphate (ATP). This ubiquitous molecule is the energy storehouse of the body. On hydrolysis to adenosine diphosphate (ADP), it liberates energy directly to such processes as muscle contraction, active transport, and the synthesis of many chemical compounds. Loss of another phosphate to form adenosine monophosphate (AMP) releases more energy.(REF: GANONG'S REVIEW OF MEDICAL PHYSIOLOGY -23rd EDITION. Page No-8)